True about primary angle closure glaucoma:
1. More common in females
2. Shallow anterior chamber in a tank
3. Shorter diameter of cornea is a predisposing factor
4. All

Correct answer: 4. All

Explanation: Ans. All